In one of the principles of health education 'soil, seed, sower, soil is:
1. Medium by which facts can be transmitted
2. Health facts that are to be given
3. The people to whom health education is given
4. People who give health education

Correct answer: 3. The people to whom health education is given